False about total body water (TBW) ?
1. ICF is 2/3rd of TBW
2. In newborn TBW is 60% of body weight
3. Premature newborns have more TBW
4. In adults, TBW is 60% of body weight

Correct answer: 2. In newborn TBW is 60% of body weight

Explanation: Ans. is 'b' i.e., In newborn TBW is 60% of body weight In a term newborn, TBW is 70-80% of body weight. It is more in premature newborn than in term newborn. Other options are correct.